Brown tumour is seen in
1. Hyperparathyroidism
2. Hypoparathyroidism
3. Hypothyroidism
4. Hyperthyroidism

Correct answer: 1. Hyperparathyroidism

Explanation: Brown's tumour: This is an expansile bone lesion, a collection of osteoclasts. It commonly affects the maxilla or mandible, though any bone may be affected. Commonly seen in Hyperpathyroidism Ref: Maheshwari 6e pg 313.